A patient comes with fracture in symphysis and left angle region. What will be the treatment
1. 2 plates in symphysis and 1 plate in angle region
2. 1 plate in symphysis and 2 plates in angle region
3. 1 plate each in both region
4. IMF

Correct answer: 1. 2 plates in symphysis and 1 plate in angle region